How does long chain fatty acids enter mitochondria
1. Pores in the inner mitochondrial membrane
2. pores in the outer mitochondrial membrane
3. Combining with carnitine
4. Combining with ornithine

Correct answer: 3. Combining with carnitine

Explanation: Refer the byte "beta Oxidation"